All of the following are digastrics, except?
1. Muscle fibres in the ligament of Treitz
2. Omohyoid
3. Occipitofrontalis
4. Sternocleidomastoid

Correct answer: 4. Sternocleidomastoid